Which is false regarding ether?
1. Highly inflammable
2. Causes hyperglycemia
3. Good muscle relaxation
4. Rapid recovery

Correct answer: 4. Rapid recovery

Explanation: Ether anaesthesia has major demerit of slow induction and slow recovery.